Pre-placement Examination has an important role to play in
1. Occupational Health
2. Energy Conservation
3. Genetic Counselling
4. Mental Health

Correct answer: 1. Occupational Health

Explanation: Pre-placement Examination: Is the foundation of an efficient occupational health service. It is done at the time of employment and includes worker’s history (medical, family, occupational and social), physical examination and biological and radiological examinations.
Main purpose of Pre-placement Examination is to place ‘the right man in right job’; so that worker can perform his duties efficiently without detriment to his health (Ergonomics).
Pre-placement Examination also serves as a useful benchmark for future comparison (examination and epidemiology).